Sphenoid wing dysplasia is seen in –
1. Von Hippel Lindau's disease
2. Neurofibromatosis
3. Sturge Weber syndrome
4. Bournville's disease

Correct answer: 2. Neurofibromatosis

Explanation: Sphenoid wing dysplasia is seen in neurofibromatosis type I.